Iron is most commonly absorbed from:
1. Duodenum and upper jejunum
2. Lower jejunum
3. Stomach
4. Ileum

Correct answer: 1. Duodenum and upper jejunum

Explanation: Ans. (A) Duodenum and upper jejunum(Ref: KK Sharma 2007/675, Katzung 11/e p571, KDT 8/e p646)Maximum iron absorption occurs in duodenum and proximal jejunum.Vitamin B12 is absorbed in distal ileum whereas folic acid is absorbed in proximal jejunum.